Formation of granulation tissue is due to ?
1. Thrombosed vessels
2. Budding of new capillaries
3. Mucosal proliferation
4. Infiltration of cells

Correct answer: 2. Budding of new capillaries

Explanation: Ans. is 'b' i.e., Budding of new capillaries